Occupational Lung Disease commonly seen in Textile Industry Workers is:
1. Byssinosis
2. Bagassosis
3. Farmer's Lung
4. Asbestosis

Correct answer: 1. Byssinosis

Explanation: Answer is A (Byssinosis) Occupational Lung Disease in Textile Industry Workers (Cotton industry) Byssinosis is an asthma-like condition caused by inhalation of cotton fiber dust over prolonged period of time. Workers occupationally exposed to cotton dust (but also to flax, hemp or jute dust) in the production of yarns for textile and rope making are at risk of Byssinosis. Exposure occurs throughout the manufacturing process but is most pronounced in the portions of the factory involved with the treatment of cotton before spinning (blowing, mixing, carding or straightening) Byssinosis is more common during milling and processing of cotton than during spinning.